Diverticulum through the Killian's dehiscence is called:
1. Pharyngeal pouch
2. Palatine pouch
3. Oesophageal pouch
4. None

Correct answer: 1. Pharyngeal pouch

Explanation: Ans: a (Pharyngeal pouch) Ref: Dhingra, 3rd ed, p. 330 & 4th ed, p. 223Zenker's diverticulumIt is a pulsion diverticulum between 2 parts of inferior constrictorPathology: Arises b/w 2 parts of inferior constrictor due to neuromuscular incordination. The propulsive thyropharyngeal part is supplied by pharyngeal plexus. The sphincteric cricopharyngeus is supplied by recurrent laryngeal nerve.Usually starts in midline posteriorly, then comes to lie in the leftSymptoms are dysphagia, regurgitation, cough, aspiration pneumoniaDiagnosis is by barium swallowTreatment:Excision of pouch & cricopharyngeal myotomyDohlmann's procedure - in debilitated patients